High stepping gait is due to
1. Quadriceps paralysis
2. Foot drop
3. Gluteus maximum paralysis
4. CDH

Correct answer: 2. Foot drop

Explanation: high stepping gait (also called as foot gait) is due to foot drop as a result of common peroneal nerve or sciatic nerve injurythe leg is lifted more in order to get clearancefirst to touch the ground is forefoot (not heel as occurs in normal gait)(Refer: Manish Kumar Varshney's Essential Orthopedics Principles & Practice, 1st edition, pg no. 1307)